Which type of cattle poisoning occurs due to ingestion of Linseed plant -
1. Aconite
2. Pilocarpine
3. Atropine
4. Hydrocyanic acid

Correct answer: 4. Hydrocyanic acid

Explanation: Young linseed plant yields free HCN.